All the following about drug induced SLE are true except
1. More common in females
2. Renal and CNS involvement is uncommon
3. Complement level are normal
4. The disease remits after withdrawal of the offending drug

Correct answer: 1. More common in females

Explanation: Ans. (a) More common in females(Ref: Robbins 9th/pg 218; 8th/pg 213)Drug-Induced LupusIt is a syndrome of positive ANA associated with symptoms such as fever, malaise, arthritis or intense arthralgias/myalgias, serositis, and/or rash.It appears during therapy with certain medications like antiarrhythmics procainamide, disopyramide, and propafenone; antihypertensive hydralazine; antithyroid propylthiouracil; antipsychotics chlorpromazine and lithium; anticonvulsants carbamazepine and phenytoin; antibiotics isoniazid, minocycline & nitrofurantoin; antirheumatic sulfasalazine; diuretic hydrochlorothiazide;It is predominant in whites & has less female predilection than SLEIt rarely involves kidneys or brain, is rarely associated with anti-dsDNA, is commonly associated with antibodies to histonesIt usually resolves over several weeks after discontinuation of the offending medication.